Serial interval is a measure of
1. Sensitivity
2. Specificity
3. Incubation period
4. Positive predictive value

Correct answer: 3. Incubation period

Explanation: The gap in time between the onset of primary case and the secondary case is known as serial interval. By collecting information of the whole series of onset, we get a distribution of secondary cases from which we can guess the incubation period. Ref: 25th edition, Park's Textbook of Preventive and Social Medicine, Page no. 108